A clean incised wound heals by -
1. Primary intention
2. Secondary intention
3. Excessive scarring
4. None of the above

Correct answer: 1. Primary intention

Explanation: The synopsis of forensic medicine &toxicology . ; Dr k.s.narayan reddy ; 28 th edition ; Pg.no.113 A clean incised wound heals by primary intention . the steps are : Few minutes - dilatation of capillaries & margination & emigration of neutrophils ,reactive changes in the tissue histiocytes& swelling of vascular endothelium . 12 hours - reactive changes occur in the fibroblasts at the site of injury within few hours ; monocytes appear in exudate . 15 hours - monocytes begin to undergo mitotic division . 24 hours - epithelium begins to grow at the edges .Vascular bud begin to form . 72 hours - vascularized granulation tissue is formed . 4-5 days - new fibrils are formed . 1 week - scar formation in small wound .